Characteristic features of opioid withdrawal is:
1. Rhinorrhea and lacrimation
2. Seizures
3. Delirium tremors
4. Transient visual, tactile or auditory hallucinations

Correct answer: 1. Rhinorrhea and lacrimation

Explanation: Ref: KDT 6/e p447 *Withdrawal symptoms are opposite of the acute effect of drug. For opioids, these include lacrimation, rhinorrhea, lacrimation, yawning, piloerection, diarrhea, nausea, coughing, mydriasis, sweating and twitching of muscles.